Which of the following reaction is not catalyzed by microsomal enzyme?
1. Glucuronidation
2. Acetylation
3. Oxidation
4. Reduction

Correct answer: 2. Acetylation

Explanation: Ans. B. AcetylationMicrosomal enzyme induction via phase 1-oxidation reduction hydrolysis and phase 2 reaction involve glucuronide conjugation. Acetylation is non-microsomal enzyme process.